Nihilistic ideas are seen in -a) Simple schizophreniab) Paranoid schizophreniac) Cotard's syndromed) Depressione) Body dysmorphic disorder
1. cd
2. bc
3. bd
4. ac

Correct answer: 1. cd

Explanation: Nihilistic delusion is false belief that oneself, other or the world is non-existent or about to end. It is seen in severe depression.
If nihilistic delusions are accompanied by ideas concerning bodily function failure, the syndrome is called Cotard's syndrome.